Cation used in PCR is
1. Calcium
2. Lithium
3. Magnesium
4. Sodium

Correct answer: 3. Magnesium

Explanation: All polymerases require divalent cations for their activity but some tend to function in buffers containing Mn2+ as well, although a little less efficiently.dNTPs and oligonucleotides bind to Mg2+ and therefore its concentration should exceed the molar concentration of phosphate groups that are contributed from both the dNTPs and primers.dNTPs bind in equimolar concentration with Mg2+.